Which of the following is present in the powder of the acrylic resin:
1. Methyl methacrylate
2. Benzoyl peroxide
3. Hydroquinone
4. D-methyl paratolouidine

Correct answer: 2. Benzoyl peroxide